Minocycline is not used in the 3 mix antibiotic paste because of only one adverse effect
1. Discolouration of crown
2. Roots become brittle
3. It reaches out readily
4. It has least antimicrobial effect

Correct answer: 1. Discolouration of crown